Hardness of water is expressed as milli-equivalent per litre (mEq/L), one unit of which is equivalent to which one of the following -
1. 20 mg CaCO3 (20 ppm)
2. 30 mg CaCO3 (30 ppm)
3. 40 mg CaCO3 (40 ppm)
4. 50 mg CaCO3 (50 ppm)

Correct answer: 4. 50 mg CaCO3 (50 ppm)

Explanation: Hardness of water us expressed in milliequivalents/L. One mEq/L is equal to 50mg of CaCO3(50 ppm) in one litre. Park's Textbook of Preventive and Social Medicine, 25th edition, Page No. 786